Best therapy suited to teach daily life skill to a mentally challenged child:
1. CBT (Cognitive behavior therapy)
2. Contingency management
3. Cognitive reconstruction
4. Self instruction

Correct answer: 2. Contingency management

Explanation: Behavioral problems in intellectual disability: The patients with intellectual disability may have maladaptive behavior such as aggression, self injurious behaviors, hyperactivity, etc. These behaviors can usually be modified using behavioral therapy techniques like contingency managementQ, in which the desired behaviors are rewarded and undesired behaviors are punished.